True about toxoplasmosis is all except -
1. In adults toxoplasmosis is usually asymptomatic
2. IgG Abs are diagnostic in congenital toxoplasmosis
3. Definitive host is cat
4. Encephalitis is rare in immunocompetent individuals

Correct answer: 2. IgG Abs are diagnostic in congenital toxoplasmosis

Explanation: CONGENITAL TOXOPLASMOSIS:.Diagnosis: IgM detection in fetal blood, IgA can also be used (experimental but better sensitivity) and Toxoplasma Ag in amniotic fluid, PCR to detect Toxoplasma genes. TOXOPLASMA GONDII: Three morphological forms: Sporulated oocyst, crescentic tachyzoites, tissue cyst containing bradyzoites Infective form: All three morphological forms are infectious Definitive hosts are cat and other felines Intermediate hosts are man and other mammals (goat, sheep) clinical feature:-In adults toxoplasmosis is usually asymptomatic. Encephalitis is rare in immunocompetent individuals and common in immunocompromised patients